A 70 year old women moderately obese, present with large midline incisional hernia. 1 year previously underwent colon resection for adenocarcinoma. which of following is truer
1. Laparoscopic repair with mesh can be done
2. Surgical repair is simple and done under local anesthesia
3. Epigastric hernia is most common hernia among parietal wall hernias
4. Open surgery for incisional hernia is not possible

Correct answer: 1. Laparoscopic repair with mesh can be done